Diagnostic of antemortum drowning -
1. Palatauf's hemorrhage
2. Weeds and grass in clenched hands
3. Emphysema aquosum
4. Water in esophagus

Correct answer: 2. Weeds and grass in clenched hands

Explanation: Ans. is 'b' i.e., Weeds and grass in clenched hands PM findings of drowningExternal findingsA) Specific (diagnostic)i) White, fine, lathery, abundant and tenacious froth at nose and mouth which increases on chest compression.ii) Weeds, grass, plants, mud or stones in tightly clenched hands.B) Non-specifici) Washer woman hand and feet.ii) Cutis anterina (goose skin).iii) Half opened eye with dilated pupil and congested conjunctiva.Internal findingsA) Specific (diagnostic)i) Water in stomach and intestine.ii) Diatoms in bone marrow and brain.B) Non-specifici) Emphysema aquosum.ii) Palatauf's hemorrhage (subpleural hemorrhage).